Transplantation of kidney from mother to son is an example of -
1. Autograft
2. Allograft
3. Isograft
4. Xenograft

Correct answer: 2. Allograft